Abdominal part of esophagus is supplied by
1. Bronchial artery
2. Abdominal aorta
3. Right gastric artery and inferior phrenic artery
4. Left gastric artery and inferior phrenic artery

Correct answer: 4. Left gastric artery and inferior phrenic artery

Explanation: ARTERIAL BLOOD SUPPLY TO ESOPHAGUS: Cervical part of esophagus Esophageal branches of inferior thyroid artery. Thoracic part of esophagus PICA (posterior Inter costal artery) (Branch of descending Thoracic aorta) + Bronchial arteries. Abdominal part of esophagus Left gastric artery (Branch of Celiac trunk) + Inferior phrenic artery (Branch Of abdominal aorta)